RNA oncogenic virus is:
1. Human papilloma virus
2. Epstein Barr virus
3. Human T-cell leukemia virus
4. Hepatitis B virus

Correct answer: 3. Human T-cell leukemia virus

Explanation: Ans. C i.e. Human T-cell leukemia virus The human T-lymphotropic virus, human T-cell lymphotropic virus, or human T-cell leukemia-lymphoma virus (HTLV) family of viruses are a group of human retroviruses that are known to cause a type of cancer called adult T-cell leukemia/lymphoma and a demyelinating disease called HTLV-1 associated myelopathy/tropical spastic paraparesis (HAM/TSP).